Accommodation is due to -
1. Relaxation of ciliary' muscles
2. Contraction of ciliary'1 muscles
3. Contraction of dilator pupillae
4. None

Correct answer: 2. Contraction of ciliary'1 muscles

Explanation: Ans. is 'b' i.e., Contraction of ciliary muscles Accommodationo Accommodation of the eye refers to the act of physiologically adjusting crystalline lens elements to alter the refractive powrer and bring objects that are closer to the eye into sharp focus,o Our eyes have been provided with a unique mechanism by which we can even focus the diverging rays coming from a near object on the retina in a bid to see clearly,o This mechanism is the accommodation,o In accommodation there occurs increase in the power of crystaline lens due to increase in the curvature of its surfaces.o Accommodation is due to contraction of ciliary muscles,o Near point and far point are related to accommodationThe near point is the closest distance between an object and eye that makes possible the formed image to be focused, i.e.j it is the point in w'hich accommodation is maximum (ciliary' muscles are maximally contracted),Far point is the most distant point from the eye in w'hich an object can be placed and its image is still focused, i.e., it is the situation of maximum relaxation of ciliary muscles.In myopia near point and far point of vision come closer and in hypermetropic near point becomes more distant.o Anomalies of accommodation are : (i) Presbyopia, (ii) Insufficiency of accommodation, (iii) Spasm of accommodation, (iv) Paralysis of accommodation.